Hypoglycemia is seen in
1. Babies born to diabetic mothers
2. Low birth weight infants
3. Babies bom to mothers who had toxaemia of pregnancy
4. All of the above

Correct answer: 4. All of the above

Explanation: (D) All of the above # Hypoglycemia is seen in 1-3 per 1000 new born infants. Current definition of hypoglycemia is based on blood glucose of less than 40 mg/dL; irrespective of the gestational age, causes of hypoglycemia are given below# Transient hypoglycemia> Inadequate substrate Premature and SGA infants; Smaller of the twins Infants of diabetic mother> Relative hyperinsulinism as in infants of diabetic mothers# Persistent hypoglycemia:> Hyperinsulin states: Beta cell hyperplasia (nesidioblastosis) Adenoma of beta cells; Leucine sensitivity> Deficiency of hormones such as glucagon, hGH, epinephrine, adrenal and ACTH.> Deficiency of substrate such as in ketotic hypoglycemia and maple syrup urine disease.> Disorders of carbohydrate metabolism such as glycogen storage disease and fructose intolerance